Right internal carotid artery stenosis leads to all except?
1. Abulia
2. Contralateral hemiparesis
3. Contralateral hemi-sensory loss
4. Drop attacks

Correct answer: 4. Drop attacks

Explanation: Drop attacks: Sudden spontaneous fall while standing or walking with complete recovery in seconds or minutes. No recognized loss of consciousness and the event is remembered. Causes of falls/ drops attacks: Transient ischemic attacks Vertebrobasilar insufficiency Third ventricular and posterior fossa tumors Parkinson's disease Progressive Supra-nuclear palsy Neuromuscular disorder (myopathy and neuropathy) Myelopathy Cataplexy When the origin of both A.C.A and M.C.A are occluded: Abulia /stupor occurs with the hemiplegia, hemianesthesia and anosognosia. Internal carotid artery also supplies the ipsilateral optic nerve and retina the ophthalmic artery. The disease causes recurrent transient monocular blindness - Amaurosis Fugax